NITI AAYOG Represents;
1. Nutritional institute for transforming India
2. National Institute for Transforming India
3. Newer Initiative transforming India
4. Nutrition Intake to India

Correct answer: 2. National Institute for Transforming India

Explanation: Government of India has established NITI Aayog (National Institution for Transforming India) on 1st January 2015 It will seek to provide a critical directional and strategic input into the development process. It will emerge as a "thinktank" that will provide Governments at the central and state levels. It will monitor and evaluate the implementation of programmes, and focus on technology upgradation and capacity building